After the use of some drug, a person develops episodes of rage in which he runs about and indiscriminately injures a person who is encountered in the way. He is probably an addict of
1. Alcohol
2. Cannabis
3. Opium
4. Cocaine

Correct answer: 2. Cannabis

Explanation: B i.e. Cannabis Cannabis and its products contain (-)D?9-TetraHydroCannabinol (A9-THC) obtained from Indian hemp plant Cannabis Sativa.- Bhang = Dried leaves- Ganja = Dried female inflorescence - Charas/Hashish = Resinous extractfrom flowering tops and leaves - Marijuana / MarihuanaAmok is an episode of acute violent behaviour for which the person claims amnesia. It is seen in cannabis abuse.SubstanceCharacteristic featuresCocaineMagnus symptoms (cocaine bugs or Tactilehallucination)CannabisRun Amok Amotivation syndromeFlash backsAlcoholMcEwan's Sign Morbid jealousyLSDBad Trips Flash backs AmphetamineParanoid hallucinatory syndrome (like paranoidschizophrenia)Phencyclidine(Angel dust)Dissociative anesthesia